An Anganwadi worker works for population of
1. 300-800 in plain areas
2. 400-800 in plain areas
3. 200-600 in hilly areas
4. 400-1000 in plain areas

Correct answer: 2. 400-800 in plain areas

Explanation: Health personnel 


Norm suggested




Doctor 


1 per 1000




Nurse


3 per 1 doctor 




ASHA


2 per 1000




Health workers male and female 


Plain area - 1 per 5000
Willy area - 1 per 3000




Anganwadi worker


Plain area - 1 per 400-800
Hilly area - 1 per 300-800